All are true regarding typhoid ulcer EXCEPT:
1. Ileum is the common site
2. Bleeding is common
3. Stricture is usual and causes obstruction
4. Perforation is common

Correct answer: 3. Stricture is usual and causes obstruction

Explanation: C i.e. Stricture is common and causes obstruction Typhoid ulcers Longitudinal, Ulceration of Peyer's patches, Stricture is rare